River blindness is caused by :
1. Drinking river water without boiling.
2. Oncocerca volvulus
3. Toxoplasma canis
4. Glaucoma

Correct answer: 2. Oncocerca volvulus

Explanation: Ans. is 'b' i.e. Onchocerca volvulus Onchocerca volvulus is transmitted by Simulium damnosum, a black fly* that breeds in areas of rapidly flowing streams thus the term 'river blindness9T/t by Ivermectin*